Which of the following hepatitis viruses have significant perinatal transmission :
1. Hepatitis E virus
2. Hepatitis C virus
3. Hepatitis B virus
4. Hepatitis A virus

Correct answer: 3. Hepatitis B virus

Explanation: Answer is C (Hepatitis B) Perinatal transmission is most significant with hepatitis B Perinatal transmission of various Hepatitis viruses as described in Harrison's Text: Hepatitis virus HAV HBV HCV HDV HEV Perinatal transmission - +++ - + . - Perinatal transmission with HCV is seen primarily with HIV co-infection and high level viremia